Rett's syndrome is characterized by all except:
1. Regression of acquired sills
2. Breath holding spells
3. Autistic behavior
4. Macrocephaly

Correct answer: 4. Macrocephaly

Explanation: Rett's syndrome Rett's syndrome is a rare developmental disorder of females which bears more resemblance to a neurodegenerative disorder than a psychiatric condition * Till 5-month development is normal Microcephaly Loss of acquired hand function and speech The loss of purposeful hand movements are replaced by stereotypic motions such ashand wringing Poorly coordinated gait and ataxia * Breathing problems--hyperventilation, breath holding, and sighing--are common, and help to distinguish Rett's from autism.